A most common cause of bony ankylosis-
1. Rheumatoid arthritis
2. Pyogenic arthritis
3. Traumatic arthritis
4. Osteoarthritis

Correct answer: 2. Pyogenic arthritis

Explanation: Ankylosis

Ankylosis is the fusion of bones in a joint leading to stiffness of the joint.
Ankylosis may be : -

1) Fibrous ankylosis: - Two articular surfaces are fused by fibrous tissue.
The feature are : -

Some movement of joint is possible (though just a jog of movement).


Movements may be painless or painful.
Most common cause is tubercular arthritis.


2) Bony ankylosis: - There is a bony union between two articular surfaces. The features are : -

No movements possible.
a Joint is painless
A most common cause is acute suppurative arthritis (septic arthritis).
Sometimes, stiffness may also occur due to extra-articular etiology such as in Bum contracture, myositis ossificans etc. It is called False ankylosis.